Limiting (deficient) amino acid in Maize is?
1. Tryptophan
2. Leucine
3. Threonine
4. Methionine

Correct answer: 1. Tryptophan

Explanation: LIMITING AMINO ACID is AA deficient in a food item Maize - Tryptophan & Lysine Wheat - Threonine & Lysine Pulse - Methionine & Cysteine Supplementary action of proteins: Two different food items must be eaten together.